One of the following is a reversible cause of dementia :
1. Toxic dementia
2. Alzheimer's ds.
3. Multi - infarct dementia
4. Pick ds

Correct answer: 1. Toxic dementia

Explanation: A i.e. Toxic